Nullity of marriage is considered in?
1. Adultery in first 7 years
2. Impotency of husband
3. Assault in first 7yrs
4. Age > 55years

Correct answer: 2. Impotency of husband

Explanation: Ans. is 'b' i.e., Impotency of husband o Under section 12 of Hindu Marriage Act 1955 or section 24 of Special Marriage Act 1954, a wife may seek divorce on the ground that her husband was impotent at the time of marriage and continues to be impotent therefore he is incapable of fulfilling the rights of consummation of marriage by an act of sexual intercourse. Conditions for nullity of marriage o Any marriage can be declared null and void under following conditions:- 1) Bigamy, i.e. one spouse has made one more marriage 2) Impotence 3) If either party is underage 4) If one spouse is having unsound mind at the time of marriage, virulent form of leprosy or venereal disease in a communicable form. 5) If one spouse has not been heard of as being alive for a period of 7 years or undergoing a sentence of imprisonment for 7 years. 6) If the consent has been obtained by coercion or fraud. 7) If the woman already pregnant with someone else's child at the time of marriage.